19-year-old boy was posted for emergency repair of the ruptured globe .The patient had last meal 5 hr ago. Which among the following is anesthetic technique of choice in this patient ?
1. Retrobulbar block
2. Subtenon block
3. General anesthesia
4. Peribulbar block

Correct answer: 3. General anesthesia

Explanation: Anesthetic technique of choice for emergency repair of the ruptured globe in full stomach patients is General anesthesia--despite the increased risk of aspiration pneumonia . The patient is considered to have a full stomach if the injury occurred within 8 hr after the last meal, even if the patient did not eat for several hours after the injury Although Retrobulbar block, Subtenon block and Peribulbar block minimizes the risk of aspiration pneumonia, it is still C/I in patients with penetrating eye injuries Because injecting local anesthetic behind the globe increases intraocular pressure and may lead to expulsion of intraocular contents.